IDDM patient presents with septa perforation of nose with brownish black discharge probable diagnosis is -
1. Rhinosporidiosis
2. Aspergillus
3. Leprosy
4. Mucormyocis

Correct answer: 4. Mucormyocis